Chromosomal translocation seen in CML is:
1. 2:08
2. 8:14
3. 9:22
4. 15:17

Correct answer: 3. 9:22

Explanation: Chronic myelogenous leukemia (CML)is characterized by a cytogenetic aberration consisting of a reciprocal translocation between the long arms of chromosomes 22 and 9 . The translocation results in a shortened chromosome 22. This translocation relocates an oncogene called ABL from the long arm of chromosome 9 to a specific breakpoint cluster region (BCR) in the long arm of chromosome 22. The ABL oncogene encodes a tyrosine protein kinase. The resulting BCR/ABL fusion gene encodes a chimeric protein with strong tyrosine kinase activity. The expression of this protein leads to the development of the CML phenotype.